5yr old child with recurrent cold cause is -
1. Adenoids
2. Angiofibroma
3. Carcinoma
4. None

Correct answer: 1. Adenoids

Explanation: Ans. is 'a' i.e., Adenoids o Most common cause of common cold ( acute rhinitis) in children is enlarged and infected adenoids.Common cold/acute rhinitis/Coryzao Seen in adults and school going childen.o Causes by viruses especially rhinovirus, influenza and parainfluenza virus, ECHO virus, adeno viruses and retro viruses.o Secondary invaders are streptococci, staphylococci. Pneumococci, H. influenza and M. cararrhalis.Clinical features:o There is buming/tickling sensation at the back of nose followed by nasal stuffness, rhinorrhea and sneezing,o Low grade fever.o Initially discharge is watery and profuse but later becomes mucopurulent due to secondary' bacterial invasion.